The test in which weight of lungs is compared with body wreight is/are:
1. Fodere'sTest
2. Ploucquet's Test
3. Raygat'sTest
4. Wredtn Test

Correct answer: 2. Ploucquet's Test

Explanation: Ans: B (Ploucquet's Test) In Ploucquet test, wt of lung is compared with body wt before respiration & after respiration in live birth.Sings of Live birth - Tests UsedPloucquet's Test Q : The blood flow in the lung bed is so increased after breathing that their weight is almost doubled from 1/70 of the body weight before respiration to 1/35 after respiration. The increase in weight is not constant & is not a reliable indication of breathing.Foidere's Test or Static test Q: The lung are ligated across their hi la & separated. The average weight of both lungs before respiration are 30-40 gram & after respiration 60 to 66 gram. The increase in weight is due to increased flow of blood.Hydrostatic (or Raygafs) testQ: It is based on fact that on breathing, the volume of lung is increased, which more than compensates the weight of the additional blood, due to which their specific gravity is dimtnshed. The specific gravity of lung before respiration varies from 1040 to 1050 & after respiration about 940.This test is not necessary when-the foetus is monster, the foetus is macerated or mummified, the foetus is born before 180 days of gestation, the stomach contain milk & umblical cord has separated & a scar has formed.Wredin's testQ Change in Middle ear): With respiration air replaces the gelatinous substances, which found before birth, in few hours to five weeks.Breslau's second life test or stomach bowel test : If respiration takes place, stomach & intestine floats in water otherwise they sink. This is known as Breslau's second life test.Vagims Lfterinus : Child may breathe while it is in womb, after the rupture of the membrane.Vagitus vaginalis : Child may breathe while its head is in vagina. Therefore, proof of breathing is not the proof of live birth.Florence test Q: It is test for seminal fluid'1. The test is not the proof of seminal fluid, but only of presence of some vegetable or animal substances. A negative reaction proves that the stain is not seminal.